Rx of chronic HBV infection -a) Interferonb) Adefovir dipivoxilc) Lumivudine d) Ganciclovir
1. ab
2. bc
3. abc
4. bcd

Correct answer: 3. abc